Half-life of Aldosterone is
1. 5 mins
2. 8 to 10 mins
3. 15 to 20 mins
4. 60 to 90 mins

Correct answer: 3. 15 to 20 mins

Explanation: The plasma half-life of cortisol is 60 to 90 minutes and is determined by the extent of binding and rate of inactivation